A farmer was brought to the casualty with restlessness & agitation. Examination shows temp. 103deg F, flushed face, pupils dilated and fixed. The diagnosis is
1. Dhatura poisoning
2. Organophosphorus poisoning
3. Diazepam poisoning
4. Opium poisoning

Correct answer: 1. Dhatura poisoning

Explanation: A i.e. Dhatura poisoning